All of the following are the branches of intracavernous part of the internal carotid artery except:
1. Hypophysial branches
2. Ophthalmic artery
3. Branch to trigemical ganglion
4. Meningeal artery

Correct answer: 2. Ophthalmic artery

Explanation: B i.e., Opthalmic artery